A woman presents in the OPD with a Histopathology report of endometrial hyperplasia. This could be due to all of these ovarian lesions, except?
1. Thecoma
2. Fibroid
3. Brenner tumor
4. Follicular cyst

Correct answer: 2. Fibroid

Explanation: All functional ovarian tumors produce sex hormones and may be responsible for endometrial hyperplasia due to excess estrogen Thecomas are Sex cord stromal tumors of the ovary Brenner, although non functional tumor, but excess activity of adjacent stroma may produce sex hormones Follicular cysts are the most common benign functional ovarian tumours Fibroids, which are monoclonal uterine muscle tumors,does not secrete estrogens.